A patient with severe systemic disease which is a constant threat to the life belong to which ASA class:-
1. Class III
2. Class IV
3. Class V
4. Class VI

Correct answer: 2. Class IV

Explanation: ASA Grading and Predictive Mortality ASA Grade Definition Mortality % I Normal healthy individual 0.06 II Mild systemic disease that doesn't limit activity 0.4 III Severe systemic disease that limits activity 4.5 IV Severe systemic disease that is constant threat to life 23 V Moribund, not expected to survive 24 hrs with or without surgery 51 ASA grade Vl - comatose patient / brain dead patient for organ transplantation.